Following drugs are known immunosuppressive agent except -
1. Prednisolone
2. Cephalosporin
3. Azathioprine
4. Cyclosporin - A

Correct answer: 2. Cephalosporin